The most potent topical corticosteroid is -
1. Betamethasone valerate
2. Triamcinolone acetonide
3. Hydrocortisone acetate
4. Clobetasol propionate

Correct answer: 4. Clobetasol propionate

Explanation: Ans. is 'd' i.e., Clobetasol propionate Classification of topical steroids based on potencyClass 1(Super potent)Clobetasol propionate ointment and cream 0.5% Betamethasone dipropionate ointment 0.05% Halobetasol propionate ointment and cream 0.05%Class 2(Highly potent)Mometasone furoate ointment 0.1%Class 3(Potent)Betamethasone dipropionate cream 0.05% Fluticasone propionate ointment 0.05%Class 4(Moderately potent)Fluocinolone acetonide ointment 0.025% Fluticasone propionate cream 0.05% Mometasone furoate cream 0.1%Class 5(Moderately potent)Betamethasone valerate cream 0.1 % Hydrocortisone butyrate cream 0.1%Class 6(Mildly potent)Desonide cream 0.05% Fluocinolone acetonide solution 0.05%Class 7(Least potent)Dexamethasone cream 0.1% Hydrocortisone 1%